Psycho-somatic illness can be differentiated from hysteria by
1. Altered Sensorium
2. Autnomi disturbance
3. Involuntary movements
4. Skeletol muscles atrophy

Correct answer: 2. Autnomi disturbance

Explanation: B i.e. Autonomic disturbancesConversion disorder (hysteria) presents with signs & symptoms of voluntary motor system, sensory system & convulsions without involvement of autonomic systemQ.